Hostile witness is covered under IPC section
1. 191
2. 192
3. 193
4. 194

Correct answer: 1. 191

Explanation: Sec 191 IPC states that whoever, being legally bound by an oath or by an express provision of law to state the truth, or being bound by law to make a declaration upon any subject, makes any statement which is false, and which he either knows or believes to be false or does not believe to be true, is said to give false evidence. This is a hostile witness. REF: Dr K. S. Narayan Reddys Synopsis of Forensic Medicine & Toxicology 29th edition pg. 31.